Best irrigating fluid for phacoemulsification  is
1. Normal saline
2. Glycine
3. Basal salt solution with Glutathione
4. Distilled Water

Correct answer: 3. Basal salt solution with Glutathione

Explanation: Best irrigating fluid for phacoemulsification  is Basal salt solution with Glutathione.